Donovan bodies are:
1. Leukocytes that contain the organism, Calymmatobacterium granulomatis
2. EosinophiLs that contain the organism, Calymmatobacterium granulomatis
3. Monocytes that contain the organism, Haemophilus influenza
4. Monocytes that contain the organism, Calymmatobacterium granulomatis

Correct answer: 4. Monocytes that contain the organism, Calymmatobacterium granulomatis

Explanation: Monocytes that contain the organism, Calymmatobacterium granulomatis